Memory T cell can be identified using the following marker
1. CD45RA
2. CD45RB
3. CD45RC
4. CD45RO

Correct answer: 4. CD45RO